Lyophilization means
1. Sterilizations
2. Freeze drying
3. Burning to ashes
4. Exposure to formation

Correct answer: 2. Freeze drying

Explanation: Freeze-drying--technically known as lyophilization or cryodesiccation--is a dehydration process typically used to preserve a perishable material or make the material more convenient for transport.Viruses can be preserved by storage at subfreezing temperatures, and some may withstand lyophilization and can thus be preserved in the dry state at 4degC or even at room temperature